30-year-old female presents with a painful, red, warm nail fold since last 7 days. Patient is applying various home remedies like turmeric powder, warm saline compressions without any relief. The most probable diagnosis is
1. Ingrowing finger nail
2. Acute paronychia
3. Chronic paronychia
4. Onychomycosis

Correct answer: 2. Acute paronychia